You are attending rounds in cardiology department. Your professor asks you to calculate the volume of blood pumped with each beat of Mr X. He gives you the following values. BP of 130/80, cardiac output of 5000 ml and HR of 70/min.
1. 70 ml
2. 110
3. 50
4. 90

Correct answer: 1. 70 ml

Explanation: Ans: A (70 ml) Ref: Ganong's Review of Medical Physiology, 21st edExplanation:Stroke volume (SV) is the volume of blood, in milliliters (mL), pumped out of the heart with each beat.Cardiac output (CO) is the volume of blood pumped by the heart per minute {mL blood/min}.Cardiac output is a function of heart rate and stroke volume.The heart rate is simply the number of heart beats per minute.In this question:CO is 5000 ml.HR is 70 / min.The volume of blood pumped by heart in one minute (Cardiac output) is 5000 ml.The heart pumps 70 times a minute.So the volume of blood pumped by the heart with each beat {Stroke volume) is 5000;70 = 71.43 ml.